CO2 increases ventilation by acting mainly on receptors of -
1. Apneustic center
2. Pneumotaxic center
3. Ventral surface of medulla
4. DRG

Correct answer: 3. Ventral surface of medulla

Explanation: Ans. is 'c' i.e., Ventral surface of medulla o This question is very simple if you know the simple basic fact,o Increase ventilation in response to CO2 is chemical regulation.o Among the given options only option c is related to chemical regulation of respiration other three are related to neural regulation of respiration.Regulation of RespirationNeural regulationMedullary respiratory groupDorsal respiratory group (DRG):- Concerned with inspirationVentral respiratory group (VRG) :- Mainly concerned with forceful expiration, but also show some activity during inspiration.Pre-Botzinger complex :- Responsible for generation of respiratory rhythmPon tine respiratory groupPneumotaxic center (nucleusparabrachialis medialis) :- Primarily limit inspiration, i.e. control the "switch off' point of the inspiratory' ramp thus controlling depth of inspiration.Apneustic center :- Excites inspiratory center (DRG) to prolong inspiration.Chemical regulationCentral chemoreceptorso Ventral surface of medulla Increased respiration in response to |H+ concentration of CSF, which inturn is due to increased blood PCO2.Peripheral chemoreceptorso Carotid body & aortic bodies Increased respiration in response to low arterial PO2. (major stimulus), high PCO2 and acidosis (low pH or 0| H+)